Longest intracranial course is of which cranial nerve-
1. Olfactory
2. Oculomotor
3. Trochlear
4. Accessory

Correct answer: 3. Trochlear

Explanation: Ans. is 'c' i.e., Trochlear o Trochlear nerve has the longest intracranial courseo Vagus nerve has the longest overall course (intracranial + extracranial).o Longest intracranial course-Trochlear nerveo Longest course overall and most widely distributed-Vaguso Smallest (thinnest) cranial nerve-Trochlear nerveo Largest (thickest) cranial nerve-Trigeminal nerveo The only cranial nerve arising from dorsal aspect-Trochlear nerveo Only cranial nerve decussating completely before emerging-Trochlear nerveo Cranial nerve most commonly involved in basal skull fracture-Facial nerveo Cranial nerve most commonly involved in raised intracranial tension-Abducent nerveo Commonest cranial nerve affected in spinal anaesthesia-Abducent nerveo Cranial nerve most commonly involved in intracranial aneurysm-Oculomotor nerveo Cranial nerves carrying parasympathetic fibers-3,7, 9, 10